In inflammatory process ,the prostaglandins E1and E2 cause
1. Vasodilation
2. Increased gastric output
3. Decreased body temperature
4. Vaso constriction

Correct answer: 1. Vasodilation

Explanation: Ref Robbins 9/e p85 It is a direct vasodilator, relaxing smooth muscles, and it inhibits the release of noradrenaline from sympathetic nerve terminals. It does not inhibit platelet aggregation, where PGI2 does. PGE2 also suppresses T cell receptor signaling and may play a role in resolution of inflammation. Up-regulation of PGE2 has been implicated as a possible cause of nail clubbing. Furthermore, its postpartal synthesis in newborns is considered as one cause of patent ductus arteriosus